Erb's point is
1. Posterior primary rami of C6-C7
2. Anterior primary rami of C5-C6
3. Posterior primary rami of Cs-T1
4. Posterior primary rami of C2-C8

Correct answer: 2. Anterior primary rami of C5-C6

Explanation: B. i.e. Anterior primary rami of C5- C6